Fibroblast in healing wound is derived from
1. Local mesenchyme
2. Epithelium
3. Endothelium
4. Blood borne

Correct answer: 1. Local mesenchyme

Explanation: Fibroblasts are specialized cells that differentiate from resting mesenchymal cells in connective tissue The primary function of fibroblasts is to synthesize collagen. Sabiston 20th edition Pg 137